'Knudson\'s two stage hypothesis is for –
1. Glaucoma
2. Retinoblastoma
3. Optic glioma
4. Meningioma

Correct answer: 2. Retinoblastoma

Explanation: Deletion or inactivation of RB gene by two mutations (Knudson's two hit hypothesis) results in occurrence of retinoblastoma.